Arlt's line is seen in:
1. Vernal keratoconjunctivitis
2. Pterygium
3. Ocular pemphigoid
4. Trachoma

Correct answer: 4. Trachoma

Explanation: D i.e. Trachoma